True about Bell's palsy -
1. Spontaneous recovery
2. Steroid contraindicated
3. 25% have resolved
4. Antibiotics mainstay of treatment

Correct answer: 1. Spontaneous recovery

Explanation: Ans. is 'a' i.e., Spontaneous recovery o Majority of patients with Bell's palsy recover completely. o Steroids are the mainstay of treatment. Clinical features of Bell's palsy o Acute onset, ipsilateral facial paralysis. o Facial paralysis is usually preceded by pain behind the ear. o The patient is unable to close his eyes. o Bells phenomenon, i.e. on attempting to close the eye, eyeball turns up and out. o The face becomes asymmetrical and saliva dribbles from the angle of mouth, o Ipsilateral loss of taste sensation, salivation and lacrimation. o Intolerance to high pitched or loud sound (hyperacusis). o Most patients (80%) recover within few weeks to months.